All are peripheral lymphoid organs except ?
1. Lymph nodes
2. Spleen
3. Mucosa associated lymphoid tissue
4. Thymus

Correct answer: 4. Thymus

Explanation: Ans. is 'd' i.e., Thymus Lymphoid system . The lymphoid system consists of all of the tissue aggregates and organs composed of lymphoid tissue which function together to produce specific resistance to immunity. . The lymphoid organs are divided into. Remember . Bone marrow acts as central as well as peripheral lymphoid organ. . Spleen is the largest lymphoid organ. . Thymus is the first organ to become predominantly lymphoid.